Regarding vaginal candidiasis which of the following is FALSE:
1. Cottage cheese like secretions are seen
2. Intense pruritus
3. Occuring in pregnancy is classified as uncomplicated candidiasis
4. Budding yeast cells and pseudohyphae are seen in KOH preparation

Correct answer: 3. Occuring in pregnancy is classified as uncomplicated candidiasis

Explanation: CANDIDIASIS caused by Candida albicans which thrives in an acidic medium with an abundant supply of carbohydrates. Classification of Vulvovaginal Candidiasis Uncomplicated Complicated Sporadic or infrequent in occurrence Recurrent symptoms Mild to moderate symptoms Severe symptoms Likely to be Candida albicans Non-albicans Candida Immuno-competent women e.g., diabetic women Immuno-compromised, diabetic, pregnant SYMPTOMS vulvar pruritus associated with vaginal discharge that typically resembles cottage cheese. The discharge can vary from watery to homogeneously thick. Vaginal soreness dyspareunia vulvar burning and irritation External dysuria ("splash" dysuria) may occur when micturition leads to exposure of the inflamed vulvar and vestibular epithelium to urine. DIAGNOSIS A presumptive diagnosis can be made in the absence of fungal elements confirmed by microscopy A fungal culture is recommended to confirm the diagnosis. A 10% KOH smear shows the buds and hyphae of the Candida organism. Pregnancy is a classical situation where the pH is still acidic and the immuno-suppression will actually lead to more resistant type of candidiasis manifestation.